Which of the following drugs will not precipitate folate deficiency -
1. Alcohol
2. Chloroquine
3. Sulfasalazine
4. Phenytoin

Correct answer: 2. Chloroquine

Explanation: Ans. is 'b' i.e., Chloroquine Drugs causing folate deficiency Interference with folic acid absorption Inhibition of dihydrofolate reductase Impair folate metabolism o Phenytoin o Methotrexate o Alcohol o Phenobarbitone o Pyrimethamine o Primidone o triameterene o Sulfasalazine o Pentamidine o Cotrimoxazole o Trimethoprim